Which of the following test assesses resistance in middle ear?
1. Pure tone audiometry
2. Impendence audiometry
3. Caloric test
4. BERA (Brainstem evoked response audiometry)

Correct answer: 2. Impendence audiometry

Explanation: (b) Impendence audiometry(Ref. Cummings, 6th ed., 2203)Pure tone audiometry tests the threshold of hearing at various frequencies. It tells about the type and degree of hearing.Caloric test is a test of vestibular function.BERA tests the peripheral and central auditory pathways.